Schiller Duval bodies seen in :
1. Endodermal sinus tumor
2. Embryonal carcinoma
3. Granulosa cell tumors
4. Leydig (hilus) cell tumors

Correct answer: 1. Endodermal sinus tumor

Explanation: Ans. is 'a' i.e., Endodermal sinus tumor Histologic Hallmarks of Ovarian TumorsOvarian Tumor DiametersHistologic CharacteristicSerous Epithelial tumorsPsammoma bodiesClear cell tumorsHobnail cellsBrenner tumorsWalthard cell restsDysgerminomaLarge polygonal cells, lymphocytic infiltration, and fibrous septaTeratomasSkin, teeth, bones, hair, cartilage, neural tissue, and thyroidEndodermal sinus tumorSchiller-Duval bodiesEmbryonal carcinomaEmbryoid bodiesGranulosa cell tumorsCall-Exner bodiesLeydig (hilus) cell tumorsReinke's crystalsKrukenberg tumorSignet ring cells